Not an AIDS defining illness?
1. Tertiary Syphilis
2. Lymphoma of brain < 60 years of age
3. Progressive multifocal leukoencephalopathy
4. Extrapulmonary Cryptococcosis

Correct answer: 1. Tertiary Syphilis

Explanation: Option B: Primary CNS Lymphoma Option C: J.C virus leads to damage of gray / white matter by crossing the blood brain barrier causing progressive multifocal leukoencephalopathy Option D: Cryptococcal meningitis is the causative organism Definitive AIDS Diagnosis (with or without laboratory evidence of HIV infection) 1. Candidiasis of the esophagus, trachea, bronchi, or lungs. 2. Cryptococcosis, extrapulmonary. (pigeon dropping) 3. Cryptosporidiosis with diarrhea persisting longer than 1 month. 4. Cytomegalovirus retinitis disease of an organ other than liver, spleen, or lymph nodes. 5. Herpes simplex virus infection causing a mucocutaneous ulcer that persists longer than 1 month; or bronchitis, pneumonitis, or esophagitis of any duration. (Punched out) 6. Kaposi sarcoma in a patient younger than 60 years of age. 7. Lymphoma of the brain (primary) in a patient younger than 60 years of age. NHL = immunoblastic DLBCL 8. Mycobacterium avium complex or Mycobacterium kansasii disease, disseminated (at a site other than or in addition to lungs or cervical or hilar lymph nodes). 9. Pneumocystis jirovecii pneumonia. (CD4 < 200) 10 Progressive mulitfocal leukoencephalopathy. (JC Virus) 11. Toxoplasmosis of the brain. (MC Co2 Seizures in AIDS (+))